True about pendred syndrome:
1. Genenralised edema
2. No goiter
3. Intellectual disability
4. B/L sensory neural deafness

Correct answer: 4. B/L sensory neural deafness

Explanation: PENDRED syndrome: Autosomal recessive disorder Caused by mutations in the PDS gene on chr 7 - codes for pendrin (SLC 26A4) - chloride-iodide transporter, important in hearing and thyroid pathway. FEATURES: Congenital b/L SNHL+ Goitre & Hypothyroidism